The following is most sensitive to radiotherapy :
1. Serous cystadenoma
2. Dysgerminoma
3. Mucinous cystadenoma
4. Teratoma

Correct answer: 2. Dysgerminoma

Explanation: Dysgerminoma